Most common malignant intraorbital tumor in adult is -
1. Lymphoma
2. Rhabdomyosarcoma
3. Dermoid cyst
4. Sarcoma

Correct answer: 1. Lymphoma

Explanation: Malignant adult tumors are most commonly lymphoma, squamous cell carcinoma, and metastatic disease. Less commonly, thetumor is an adenoid cystic carcinoma of the lacrimal gland, which is an aggressive tumor. Lymphomas involving the orbit are typically B-cell and characteristically low grade Ref khurana 6/e